Which of the following is not a feature of Pathological myopia?
1. Lattice & snail track degeneration
2. Cystoid degeneration
3. Anterior staphyloma
4. Tessellated fundus

Correct answer: 3. Anterior staphyloma

Explanation: Long axial length and not short axial length is seen in high myopia. Signs & Symptoms: Long Axial length Deep Anterior chamber Muscae volitantes : Floating black opacities in front of eye that are seen in path myopia Defective night vision Fundus changes in High/Pathological Myopia : Temporal crescent Superaction crescent (360 deg crescent pulling retina) Tigroid/tessellated fundus Foster Fuchs spot at macula Cystoid degeneration (M/C complication) Lattice & snail track degeneration Posterior staphyloma Lacquer cracks-Rupture of bruch's membrane Posterior vitreous detachment (weiss ring) Note- Rhegmatogenous retinal detachemenet is 2nd m/c complication caused due to stretch on all layers of eyeball Myopic Crescent Tigroid Fundus Lattice Degeneration Weiss Ring